What is the other name of Hallervorden-Spatz syndrome?
1. Mitochondrial encephalomyopathy; Lactic acidosis; Stroke
2. Pantothenate kinase - associated neurodegeneration
3. Thiamine-responsive megaloblastic anemia syndrome
4. Riboflavin sensitive myopathy

Correct answer: 2. Pantothenate kinase - associated neurodegeneration

Explanation: Hallervorden-Spatz syndrome : Pantothenate kinase - associated neurodegeneration Rare Autosomal recessive Excessive accumulation of iron containing pigments in brain Accumulation of N-Pantothenoyl-Cysteine and Pantetheine, leading to free radical cell damage Characterized by Parkinson like features & intellectual disability